EAC rosettes are formed by
1. B-cells
2. T-cells
3. Dendritic cells
4. Osteoclasts

Correct answer: 1. B-cells

Explanation: EAC rosettes are formed by B-cells.